Kangaroo mother care .True is -
1. Can be done by father also
2. Indicated for LBW babies
3. Effective thermal control
4. All of the above

Correct answer: 4. All of the above

Explanation: Ans. is 'd' i.e., All of the above o Repeat from All India Dec-15